Integrated Management of Childhood Illness (IMCI) initiative was taken to prevent morbidity and mortality from all of the following, EXCEPT:
1. Malaria
2. Malnutrition
3. Otitis Media
4. Neonatal tetanus

Correct answer: 4. Neonatal tetanus

Explanation: The Integrated Management of Childhood Illness (IMCI) was developed by the WHO and UNICEF in order to improvise child health in the aspects of immunization, nutrition, disease prevention and health promotion. The neonatal tetanus was not included in the list of commonest childhood problems. Ref: Park's Textbook of Social and Preventive Medicine, 19th Edition, Pages 372, 461-62